Pubic symphysis is which type of joint
1. Synovial
2. Fibrous
3. Cartilaginous
4. Syndesmoses

Correct answer: 3. Cartilaginous

Explanation: Primary cartilaginous joints Known as "synchondroses". These bones are connected by hyaline cartilage and sometimes occur between ossification centers.This cartilage may ossify with age.Examples in humans are the "growth plates" between ossification centers in long bones. These joints here allow for only a little movement, such as in the spine or ribs.Secondary cartilaginous joints Known as "symphysis". Fibrocartilaginous and hyaline joints, usually occurring in the midlineExamples in human anatomy would be the manubriosternal joint (between the manubrium and the sternum), intervertebral discs, and the pubic symphysis.